All are components of basement membrane except
1. Nidogen
2. Laminin
3. Entactin
4. Rhodopsin

Correct answer: 4. Rhodopsin

Explanation: Ans. is 'd' i.e. Rhodopsin Basement membrane is a part of extracellular matrix Extracellular matrix is composed ofCollagenThey are family of proteins which provide structured support to the multicellular organisms.It is the main component of tissues such as fibrous tissue, bone, cartilage, valves of heart, cornea, basement membrane etc.Adhesive glycoproteinsVarious adhesive glycoproteins acting as glue for the ECM and the cells consists ofFibronectinTenascin (cytotactin) andThrombospondinBasement membraneBasement membranes are periodic acid-schiff positive amorphous structures that lie underneath epithelia of different organs and endothelial cellsThey consists ofLamininFibronectinTenascinProteoglycansEntactin (Nidogen)Perlecan (heparin sulphate)Collagen type IVElastic fibresWhile the tensile strength in the tissue comes from collagen, the ability to recoil is provided by the elastic fibresElastic fibres consist of 2 components elastin glycoprotein and elastic microfibrilElastase degrades the elastic tissue e.g. inflammation, emphysema etc.ProteoglycansThese are a group of molecules having 2 components- an essential carbohydrate polymer (called polysaccharide or glycosaminoglycan) and a protein bound to it, and hence the name proteoglycan.Various proteoglycans in different tissues:(i)Chondroitin sulphate-abundant in cartilage, dermis(ii)Heparan sulphate-in basement membranes(iii)Dermatan sulphate-in dermis(iv)Keratan sulphate-in cartilage(v)Hyaluronis acid-in cartilage, dermis